The following enzyme is not elevated in polymyositis
1. Creatine kinase
2. Aldolase
3. Lactate dehydrogenase
4. Amylase

Correct answer: 4. Amylase

Explanation: Polymyositis is a type of inflammatory myopathy, which refers to a group of muscle diseases characterized by chronic muscle inflammation and weakness. elevations of serum activities of the so called "liver enzymes", the transaminases and lactate dehydrogenase (LD) in myositis Ref Robbins 9/e pg 226